Micro RNA transcribed by:
1. RNA polymerase I
2. RNA polymerase II
3. RNA polymerase III
4. DNA polymerase

Correct answer: 2. RNA polymerase II

Explanation: RNA polymerase II